Converging point of both pathway in coagulation is at:
1. Factor VIII
2. Stuart factor X
3. Factor IX
4. Factor VII

Correct answer: 2. Stuart factor X

Explanation: Answer is B (Stuart factor X) The extrinsic and Intrinsic pathways in coagulation converge at the Stuart factor X.